An old woman, Nanda suffered stroke for which she was given alteplase. She improved considerably. To prevent the recurrence of stroke, this patient is most likely to be treated indefinitely with:
1. Aspirin
2. Warfarin
3. Urokinase
4. Enoxaparin

Correct answer: 1. Aspirin

Explanation: Antiplatelet drugs like aspirin or clopidogrel are used to prevent arterial thrombosis (in diseases like MI and stroke). Enoxaparin (LMW Heparin) is indirect thrombin inhibitor used in treatment of DVT Urokinase is fibrinolytic drug used in stroke/Acute MI/Pulmonary Embolism (within 3-4hrs) Warfarin is oral anticoagulant and Vit. K inhibitor.